Leisch nyhan syndrome due to?
1. HGPRT ase deficieny (complete)
2. HGPRT ase deficiency (partial)
3. Hexosaminidase deficiency (complete)
4. Hexosaminidase deficiency (partial)

Correct answer: 1. HGPRT ase deficieny (complete)

Explanation: Ans. is 'a' i.e., HGPRTase deficiency (complete)